Kaposis sarcoma is seen with ?
1. HCV
2. HPV
3. HSV
4. HHV

Correct answer: 4. HHV

Explanation: Ans. is 'd' i.e., HHVo The epidemiologic features of KS have long suggested an infectious cause with the possibility of sexual transmission.In 1994, DNA fragments of a previously unrecognized herpesvirus (called human herpesvirus 8 ), were isolated from a skin lesion of a patient with AIDS. Subsequent studies have shown that, regardless of clinical subtype, 95% of KS lesions are infected with KSHV.